Irreversible change starting in MI in myocardium is seen in:
1. Few seconds
2. 10 minutes
3. 20 minutes
4. 40 minutes

Correct answer: 3. 20 minutes

Explanation: Change in myocardium in MI:- Few seconds: onset of ATP depletion 10 min : ATP | to 50% 20 min : Irreversible changes starts 40 min